Which among the following causes epidemic keratoconjunctivitis?
1. HSV
2. Adenovirus
3. Chlamydia
4. HIV

Correct answer: 2. Adenovirus

Explanation: Epidemic keratoconjunctivitis (EKC) is a viral conjunctivitis caused by a group of adenoviruses. This family of adenoviruses contains different serotypes that can also cause pharyngoconjunctival fever and nonspecific follicular conjunctivitis. It is one of the most common causes of acute conjunctivitis, with characteristic clinical features such as sudden onset of acute follicular conjunctivitis, with watery discharge, hyperemia, chemosis, and ipsilateral preauricular lymphadenopathy.